Increased Reid Index is used to characterized:
1. Chronic Bronchitis
2. Bronchiectasis
3. Bronchial Asthma
4. Emphysema

Correct answer: 1. Chronic Bronchitis

Explanation: Answer is A (Chronic Bronchitis): Reid Index is a measure of hypertrophy of the mucus secreting glands and is characteristically increased in Chronic Bronchitis. Reid Index: Measures Hypertrophy of mucus glands Chronic Bronchitis is assoicated with hypertrophy of the mucus secreting glands of the submucusa in the cartilaginous airways. The histologic correlate of chronic bronchitis is the presence of mucus gland hyperplasia. This manifests as an increased percentage of bronchial wall occupied by submucosal mucus glands (This is classically defined by the 'Reid Index'.) Reid Index is the ratio of the thickness of the mucous gland layer to the thickness of the bronchial wall (between basal lamina of mucosa and inner perichondrium) The normal Reid Index is less than 0.4 Reid index > 0.4 (typically > 0.5) suggests mucous gland hyperplasia The Reid index is increased in chronic bronchitis usually in proportion to the severity and duration of disease. There is a direct correlation between the value of Reid Index and the volume of daily sputum production by the patient.